Type C personality disorder
1. Avoidant personality disorder
2. Histronic personality disorder
3. Paranoid personality disorder
4. Narcissistic personality disorder

Correct answer: 1. Avoidant personality disorder

Explanation: Cluster C has disorders considered "anxious and fearful" and characterised by "introversion". These include Anxious (Avoidant), Dependent and Obsessive Compulsive (or Anankastic) personality disorders. Ref: A Short Textbook of Psychiatry, Niraj Ahuja, 7th Edition, pg. no. 113